Endochondral ossification is seen in -
1. Long bones
2. Flat bones of skull
3. vault of skull
4. Nasal bones

Correct answer: 1. Long bones

Explanation: Endochondral ossification : Bone formation within cartilage (hyaline cartilage) Long bones which undergo Endochondral ossification : TYPES OF OSSIFICATION: 1. Endochondral ossification - Most long bones. 2. Intramembranous ossification - Flat skull bones/Vault bones. 3. Both Endochondral and intramembranous - Clavicle & Mandible (intramembranous> Endochondral)